The time necessary for healing of fracture depends on the following factors:
1. Age of the patient
2. Location of the fracture
3. Type of the fracture
4. All of the above

Correct answer: 4. All of the above

Explanation: D i.e. All